Which hormone is involved in 'milk secretion reflex'?
1. Oxytocin
2. Prolactin
3. Vasopressin
4. Progesterone

Correct answer: 2. Prolactin

Explanation: In 'milk secretion reflex',- when the baby sucks, nerve endings in nipple carry impulse to anterior pituitary - release of Prolactin - Alveolar glands of breast stimulated to secrete milk. Oxytocin- Milk ejection reflex